Which of the following is the best method to know the  depth of invasion in esophageal carcinoma
1. Endoscopic ultrasound
2. CT
3. Contrast MRI
4. CECT

Correct answer: 1. Endoscopic ultrasound

Explanation: Ultrasound is used to know the t stage of cancer.